A 55-yr-old male, with uncontrolled DM & HT, developed severe airborne contact dermatitis. The most appropriate drug for his treatment would be:
1. Systematic corticosteroids
2. Thalidomide
3. Azathioprine
4. Cyclosporine

Correct answer: 3. Azathioprine

Explanation: Ans. C. AzathioprineCONTACT DERMATITIS: TREATMENTa. If contact dermatitis is suspected and an offending agent is identified and removed, the eruption will resolve. Usually, treatment with high-potency topical glucocorticoids is enough to relieve symptoms while the dermatitis runs its course. For those patients who require systemic therapy, daily oral prednisone beginning at 1mg/kg, but usually 60mg/d, is sufficient. It should be tapered over 2-3 weeks, and each daily dose given in the morning with food.b. Identification of a contact allergen can be a difficult and time-consuming task. Patients with dermatitis unresponsive to conventional therapy or with an unusual and patterned distribution should be suspected of having ACD. They should be questioned carefully regarding occupational exposures and topical medications. Common sensitizers include preservatives in topical preparations, nickel sulfate, potassium dichromate, thimerosal, neomycin sulfate, fragrances, formaldehyde, and rubber-curing agents. Patch testing is helpful in identifying these agents but should not be attempted on patients with widespread active dermatitis or on those taking systemic glucocorticoids.